In Rituximab, -xi- in the center stands for -
1. Unique name
2. Tumor
3. Chimeric
4. Monoclonal antibody

Correct answer: 3. Chimeric

Explanation: Ans. is 'c' i.e., ChimericRituximabSternWhat it Meansri--tu-xi-mabUnique nameTumorsChimmericMonoclonal antibody